Which of the following is false about hydatid cyst of liver
1. MC cause is E. Granulosus
2. Investigation of choice is casoni’s test
3. Albendazole is scolicidal agent
4. PAIR is done if size > 5cm

Correct answer: 2. Investigation of choice is casoni’s test

Explanation: IOC of hydatid cyst is serology. Casoni test is not preferred now.